Which of the following is false about conscious sedation?
1. Patient retains ability to maintain a patent airway
2. Responds appropriately to physical stimulation
3. Responds appropriately to verbal commands
4. None of the above

Correct answer: 4. None of the above